Michaelis Gutmann bodies are seen in ?
1. Xanthogranulomatous pyelonephritis
2. Malakoplakia
3. Nail patella syndrome
4. None

Correct answer: 2. Malakoplakia

Explanation: Ans. is 'b' i.e., Malakoplakia Malakoplakia is a variant of cystitis, it is related to chronic bacterial infection mostly by E.coli or occasionally by proteus species. It is characterized by unusual appearing macrophages and giant phagosomes. It points to defect in phagocytic or degradative function of macrophage. It is a peculiar pattern of vesical inflammatory reaction characterized microscopically by soft, yellow, slightly raised mucosal plaques 3-4 cm in diameter. Histologically it is characterized by infiltration with large foamy macrophages with occasional multinucleate giant cells and interspersed lymphocytes. The macrophages have an abundant granular cytoplasm and the granularity is PAS positive. In addition to these histological changes, malakoplokia is also characterized by Michaelis Guttman bodies. Michalies Guttman bodies are Laminated mineralized concretions resulting from deposition of calcium in enlarged lysosomes. They are typically present both within the macrophages and between cells. o Malakoplakia occurs with increased frequency in immunosuppressed transplant recipients.